Which of the following is the common extrarenal involvement in autosomal dominant polycystic kidney disease -
1. Mitral valve prolapse
2. Hepatic cysts
3. Splenic cysts
4. Colonic diverticulosis

Correct answer: 2. Hepatic cysts